What are the chances of contracting HIV after needle prick injury?
1. 1/100
2. 1/300
3. 1/10000
4. I in 1 Lac

Correct answer: 2. 1/300

Explanation: The average risk of HIV infection following needle prick injury is 1/300. After mucocutaneous exposure risk is approximately 0.09%. Post exposure prophylaxis should be initiated within 1-2 hrs. According CDC guidelines: A basic regimen consists of two-drug therapy, often consisting of azidothymidine and lamivudine. In an expanded regimen: indinavir or nelfinavir is added to it. HBV is the most infectious of the 3 viruses. There is about 2% risk of acquiring HCV infection after needle stick injury. The is no vaccine against HCV and no treatment can prevent infection after exposure to the virus. The risk of HIV transmission from an infected patients blood or other body fluid splashed into a caregivers eyes or mouth is much lower than for needle stick injuries. Ref: Rothman R.E., Marco C.A., Yang S. (2011). Chapter 149. Human Immunodeficiency Virus Infection and Acquired Immunodeficiency Syndrome. In R.K. Cydulka, G.D. Meckler (Eds), Tintinalli's Emergency Medicine: A Comprehensive Study Guide, 7e.